Clubbing is least common in -
1. Squamous cell carcinoma
2. Adenocarcinoma
3. Small cell carcinoma of lung
4. Mesothelioma

Correct answer: 3. Small cell carcinoma of lung